The maximum effect of a drug is defined by-
1. Therapeutic index
2. Potency
3. Efficacy
4. Adversity

Correct answer: 3. Efficacy

Explanation: Ans. is 'c' i.e., Efficacy - Refers to maximal response that can be produced by a drug. Potency - Amount of drug needed to produce a given response.